Stye is other name of ?
1. Chalazion
2. Hordeolum internum
3. Hordeolum externum
4. None of the above

Correct answer: 3. Hordeolum externum

Explanation: Ans. is 'c' i.e., Hordeolum externum